Flaccid bullae with mucosal involvement and intraepidermal acantholysis are characteristic of
1. Pemphygus vulgaris
2. Pemphigus foliaceous
3. Psoriasis
4. Vitiligo

Correct answer: 1. Pemphygus vulgaris

Explanation: In pemphigus vulgaris skin involvement starts in the form of flaccid blisters. Cutaneous lesions are usually preceded by blisters and erosions of oral mucosa.HP shows a suprabasal cleft with bulla formation just above the basal layer with a tomb stone appearance and with blister cavity containing acantholytic cells and inflammatory cells.Page no 280,282. Reference IADVL's concise textbook of dermatology